A 59-year-old male came with Hb 18.0 gm/dl on three occasions. The resident doctor wants to exclude Polycythemia Vera. Which of the following is the most relevant investigation -
1. Hematocrit
2. Total leukocyte count
3. Red cell mass
4. Reticulocyte count

Correct answer: 3. Red cell mass